Acute reversible pulpitis is treated by:
1. Sedative filling wait and watch
2. Pulpectomy
3. Pulpotomy
4. Pulp capping

Correct answer: 1. Sedative filling wait and watch